“Hundred day cough” is the name of
1. Cough due to haemophylus influenza
2. Cough due to Bordetella pertussis
3. Cough due to adenovirus
4. Cough due to respiratory syncytial virus

Correct answer: 2. Cough due to Bordetella pertussis